If a drug is active against pre erythrocytic stage of the malaria parasite it will be useful as
1. Suppressive prophylactic
2. Causal prophylactic
3. Clinical curative
4. Radical curative

Correct answer: 2. Causal prophylactic

Explanation: (Ref KDT 6/e p782) Stage ---clinical use Preerythrocytic- Causal prophylaxis Erythrocytic-Clinical cure -Suppressive prophylaxis Exo-Erythrocytic: Radical cure Gametocytic Pevention of transmission